Kayser Fleischer ring is seen in
1. Wilson's disease
2. Alpha 1antitrypsin deficiency
3. Hemochromatosis
4. Primary biliary cirrhosis

Correct answer: 1. Wilson's disease

Explanation: Refer Robbins page no 850 Toxic injury to the brain primarily affects the basal ganglia, particularly the putamen, which shows atrophy and even cavita- tion. Nearly all patients with neurologic involvement develop eye lesions called Kayser-Fleischer rings, green to brown depos- its of copper in Descemet membrane in the limbus of the cornea.